Small 4 years child presents with shock and circulatory collapse. It is not possible to get intravenous access. Then what must be done next:
1. Intraosseus cannulation
2. Intracardiac infusion
3. Thoracotomy
4. CPR

Correct answer: 1. Intraosseus cannulation

Explanation: Ans. (a) Intraosseus cannulationRef: Leidel BA, Kirchhoff C, Bogner V Stegmaier J, Mustchler W, Kanz KG, et al. Is the intraosseous access route fast and efficacious compared to conventional central venous catheterization in adult patients under resuscitation in the emergency deparment? A prospective observational pilot study. Patient Saf Surg. 2009 Oct 8. 3(1):24.* Intraosseus cannulation is straightforward and safe in children less than 6 years.